Dental local anesthetics containing 2% lignocaine with adrenaline 1 : 80000:
A) In any dosage are contraindicated in patients with heart disease
B) May cause tachycardia
C) Can produce allergic reactions, in which lignocaine is usually responsible
D) Or even prilocaine with felypressin should not be used in the pregnant patient because of the oxytocic effects of adrenaline or felypressin.
E) Cause hypertensive reactions in patients on tricyclic antidepressants
1. Option B is true and ACDE are false
2. Option A true and BCDE are false
3. Option C is true and ABDE are false
4. Option D is true and ABCE are false

Correct answer: 1. Option B is true and ACDE are false

Explanation: Adrenaline may cause tachycardia.